The buffer with the highest pKa is:
1. Phosphate
2. Bicarbonate
3. Intracellular proteins
4. Ammonia

Correct answer: 4. Ammonia

Explanation: Buffer PKa Phosphate 6.8 Bicarbonate 6.1 Intracellular proteins 7.2 Ammonia 9.0 The only basic buffer is ammonia.